Human poverty index includes all except ?
1. Infant mortality
2. Longevity
3. Knowledge
4. Standard of living

Correct answer: 1. Infant mortality

Explanation: The Human Poverty Index (HPI) was an indication of the poverty of community in a country, developed by the Union of Soviet Socialists Republic(USSR) to complement the Human Development Index (HDI) and was first reported as part of the Human Deprivation Report in 1997. It was considered to better reflect the extent of deprivation in deprived countries compared to the HDI. In 2010 it was supplanted by the UN's Multidimensional Poverty Index. The HPI concentrates on the deprivation in the three essential elements of human life already reflected in the HDI: longevity, knowledge decent standard of living. The HPI is derived separately for deprivingcountries (HPI-1) and a group of select high-income OECD countries (HPI-2) to better reflect socio-economic differences and also the widely different measures of deprivation in the two groups Ref: https://en.m.wikipedia.org/wiki/Human_Poverty_Index